13.All the following are true of antrochonal polyp,except:
1. Common in children
2. Single and unilateral
3. Bleeds on touch
4. Treatment involves avulsion

Correct answer: 3. Bleeds on touch

Explanation: Ref.Dhingra 6/e p 174,175